The resting uretric pressure -
1. 5-7 cm of H2O
2. 15-30 cm of H2O
3. 7-10 cm of H2O
4. 0-5 cm of H2O

Correct answer: 4. 0-5 cm of H2O